Which artery is responsible for epistaxis after ligation of external carotid artery?
1. Ethmoidal artery
2. Greater palatine artery
3. Ascending pharyngeal artery
4. Superior labial artery

Correct answer: 1. Ethmoidal artery

Explanation: Ethmoidal artery is a branch of internal carotid artery while rest of the arteries provided in the options are branches of external carotid arteries, thereby after ligation of external carotid artery, ethmoidal artery is the only artery which can cause epistaxis.